Drug of choice in Obsessive compulsive disorder is
1. Imipramine
2. Fluoxetine
3. Alprazolam
4. Chlorpromazine

Correct answer: 2. Fluoxetine

Explanation: Ans. is 'b' i.e. Fluoxetine The drug of choice for obsessive compulsive disorder is Fluoxetine.RememberThe treatment of choice for obsessive compulsive disorder is behavior therapy. (Only 50% of OCP patients show improvement with pharmacotherapy alone).